What is true about the resection and anastomosis of necrotic bowel?
1. Chromic catgut is used for anastomosis
2. Submucosa should not be in the sutures
3. Single-layer, extramucosal suture technique is preferred
4. Single-layer seromuscular suture technique is preferred

Correct answer: 3. Single-layer, extramucosal suture technique is preferred

Explanation: Single-layer, extramucosal suture technique is preferred as it causes the least tissue necrosis or luminal narrowing The extramucosal suture must include the submucosa because this has a high collagen content and is the most stable suture layer Catgut and silk have been replaced by synthetic, usually absorbable, polymers. The suture materials should be made of absorbable polymer- braided (e.g. polyglactin)/monofilament (e.g. polydioxanone)